Vasoconstriction is seen with
1. Lignocaine
2. Cocaine
3. Idiotocaine
4. Bupivacaine

Correct answer: 2. Cocaine

Explanation: Ans. is 'b' i.e. cocaine All local anaesthetic cause vasodilation except for cocaine which causes vasoconstriction.